Predisposing factors for gastric ca are -
1. Atrophic gastritis
2. Hyperplastic polyp
3. Adenomatous polyp
4. All

Correct answer: 4. All

Explanation: Answer 'a' i.e. Atrophic gastritis; 'b' i.e. Hyperplastic Polyp; 'c' i.e. Adenomatous Polyp Achlorhydria associated with pernicious anemia, chronic H. pylori infection, gastrectomies are assoicated with increased risk of gastric cancer probably because reduced acid secretion favours bacterial growth and perpetuation of chronic inflammation with mucosal epithelial cell proliferation and hence increased risk of genomic mutation. Bacterial growth also converts nitrates into nitrites which are a proven carcinogen.